When an antigen is administered for the first time to an animal or a human being who has never been exposed to it, the first antibody to develop-
1. IgG type
2. IgM type
3. IgA type
4. IgE type

Correct answer: 2. IgM type

Explanation: Ans. is 'b' i.e., IgM type